What is the IOC for bronchiectasis?
1. HRCT scan
2. Spiral CT
3. Bronchoscopy
4. Pulmonary angiography

Correct answer: 1. HRCT scan

Explanation: The best test to evaluate the destruction and dilatation of large airways which are filled with pus in bronchiectasis is HRCT. Spiral CT is preferred for pulmonary embolism. Pulmonary angiography is done for lung sequestration and is the gold standard for pulmonary embolism.